Electrocogulation is used for
1. Gingivectomy
2. Flap surgeries
3. Mucogingival surgeries
4. All of the above

Correct answer: 1. Gingivectomy